Initiation of visual impulse is associated with
1. Condensation of opsin with vitamin A aldehyde
2. Photoisomerization and hydrolysis of visual purple
3. | NADP
4. | NAD

Correct answer: 2. Photoisomerization and hydrolysis of visual purple

Explanation: Ans. (b) Photoisomerization and hydrolysis of visual purple(Ref: Ganong, 25th ed/p. 179)On exposure to light, there is conversion of 11 cis retinal to All trans retinal (photoisomerization) and hydrolysis of visual pigment